Transient erythroid hypoplasia in hereditary spherocytosis is caused by:
1. Epstein Barr virus
2. Parvovirus B19
3. CMV
4. Hepatitis B

Correct answer: 2. Parvovirus B19

Explanation: Parvovirus B 19 can cause transient red cell aplasia in patients with hemolytic disorders. It can cause aplastic crisis. Ref: Harrisons principles of internal medicine, 18th edition, Page 874.